Methotrexate is used in high doses in -
1. Osteosarcoma
2. Retinoblastoma
3. Rhabdomyosarcoma
4. Ewig's sarcoma

Correct answer: 1. Osteosarcoma

Explanation: Ans. is 'a' i.e., Osteosarcoma o High dose methotrexate with leucoverin is indicated for chemotherapy in osteosarcoma.